Which of the following is not a common cause of vasculitis in adults?
1. Giant Cell Arteritis
2. Polyarteritis nodosa
3. Kawasaki disease
4. Churg-Strauss syndrome

Correct answer: 3. Kawasaki disease

Explanation: Kawasaki disease (mucocutaneous lymph node syndrome) is an arteritis that often involves the coronary arteries (large- to medium-sized vessel arteritis), usually in young children and infants (majority of the cases are seen in <5 years old).